Foot drop results due to injury to -
1. Tibial nerve
2. Common peroneal nerve
3. Anterior interosseus nerve
4. Posterior interosseus nerve

Correct answer: 2. Common peroneal nerve

Explanation: Ans. is 'b' i.e., Common peroneal nerve * Foot drop: Common peroneal nerve injury* Wrist drop: Radial nerve injury* Ape thumb: Median nerve injury* Claw hand: Ulnar nerve injury* Froment's sign: Ulnar nerve injury